Which of the following is not supplied by C8 T1 -
1. Abductor pollicis brevis
2. Extensor indicis
3. Palmar interossei
4. 3rd & 4th lumbricals

Correct answer: 2. Extensor indicis

Explanation: Small muscles of hand include- Thenar, Hypothenar, interossei and lumbricals. They are supplied by C8-T1. Extensor indicis is supplied by C7, C8